Tail of the wound tells about:
1. Size of wound
2. Age of wound
3. Direction of wound
4. Depth of wound

Correct answer: 3. Direction of wound

Explanation: Direction of wound